Epsilon waves are most specific for
1. Hypothermia
2. Hypokalemia
3. Arrythmogenic Rv Cardiomyopathy
4. PSVT

Correct answer: 3. Arrythmogenic Rv Cardiomyopathy

Explanation: Epsilon waves are most specific for arrythmogenic Rv Cardiomyopathy.